Retinoblastoma is associated with -
1. Osteosarcoma
2. Hepatocellularca
3. SCC
4. Osteoclastoma,

Correct answer: 1. Osteosarcoma

Explanation: Ans. is 'a' i.e., Osteosarcoma o Patients with familial retinoblastoma are at increased risk of developing osteosarcoma and some other soft tissue sarcomas.o Also, inactivation of the RB locus has been noted in several other tumors, including adenocarcinoma of the breast, small cell carcinoma of the lung, and bladder carcinoma.